Macewan sign' is seen in -
1. Alcoholic intoxication
2. Organophosphorus poisoning
3. Barbiturate poisoning
4. Dhatura poisoning

Correct answer: 1. Alcoholic intoxication

Explanation: Macewan sign is seen is stage of narcosis of acute alcohol intoxication.